Menorrhagia is defined as blood loss per vagina more than :
1. 80 ml
2. 110 ml
3. 150 ml
4. 50 ml

Correct answer: 1. 80 ml

Explanation: Ans. is a i.e. 80 ml Menorrhagia is defined as regularly timed episodes of bleeding that are excessive in amount (> 80 ml) and/or duration of flow (> 5 days).